VAN (vein, artery, nerve) sequence is present in intercostal space at:
1. Upper border of rib
2. Middle border of rib
3. Lower border of rib
4. Middle portion of intercostal space

Correct answer: 3. Lower border of rib

Explanation: Ans. C Lower border of ribRef: Snell's Clinical Anatomy, pg. 41* There are 11 intercostal spaces within the thoracic wall. The spaces are tilled in by 3 layers of intercostal muscles and their related fasciae and are bounded superiorly and inferiorly by the adjacent ribs.* The costal groove is located along the inferior border of each rib (upper aspect of the intercostal space) and provides protection for the vein which is most superior and the nerve which is inferior in the groove (VAN).